Battered child syndrome should be considered in any child exhibiting evidence of all of the following, except
1. Failure to thrive
2. Subdural hematoma
3. Skin bruising
4. None of the above

Correct answer: 4. None of the above

Explanation: All the above-mentioned conditions are different forms of child abuse and neglect. Munchausen syndrome by proxy is a form of fabricated illness by the parents. Sexual abuse is a form of child abuse, where an adult sexually exploits the child. Intentional drugging or poisoning is a form of child abuse where the child is drugged or poisoned by the caretaker.